Serum marker used after surgery for differentiated thyroid cancer is
1. T4
2. Thyroglobulin
3. Calcitonin
4. PTH

Correct answer: 2. Thyroglobulin

Explanation: Measurement of peripheral Thyroglobulin has predictive value for the recurrence of differentiated thyroid cancer (ie papillary and follicular thyroid cancers),locally or in metastatic deposits after initial total thyroidectomy . Basal or stimulated calcitonin levels are sensitive markers for primary or recurrent medullary thyroid cancer. Source : Sabiston 20th edition Pg : 886